A 56 year old Chronic smoker, mass in bronchus resected. Most useful immunohistochemical marker to make a proper diagnosis would be -
1. Cytokeratin
2. Vimentin
3. Epithelial membrane cadherin
4. Leucocyte common antigen

Correct answer: 1. Cytokeratin

Explanation: Mass in bronchus in an old chronic smoker suggest bronchogenic carcinoma. The marker of carcinoma, on immunohistochemistry, is cytokeratin.
Other epithelial markers for carcinoma are :-


Epithelial membrane antigen (EMA):- Breast, lung and Kidney's adenocarcinoma.
Carcino-embryonic antigen: - Carcinomas of GIT, pancreas, lung, breast, uterus and ovary.